Gomez classification is based on ?
1. Weight retardation
2. Height retardation
3. Mid arm circumference
4. Stunting

Correct answer: 1. Weight retardation

Explanation: Ans. is 'a' i.e., Weight retardation